1/68 DI.C. is seen in-
1. Acute promyelocytic leukemia
2. Acute myelomonocytic leukemia
3. CMC
4. Autoimmune hemolytic anemia

Correct answer: 1. Acute promyelocytic leukemia

Explanation: Abstract Malignancy is associated with a "hypercoagulable" state and a high risk for thrombohemorrhagic complications. Clinical complications may range from localized thrombosis to bleeding of varying degrees of severity because of disseminated intravascular coagulation (DIC). Life-threatening bleeding is frequent in acute leukaemias, particularly in acute promyelocytic leukaemia (APL).
Laboratory assessments show a profound hemostatic imbalance in this condition, with activation of coagulation, fibrinolysis, and nonspecific proteolysis systems.